Rb gene is located on chromosome?
1. 13ql4
2. 13pl4
3. 17
4. 22

Correct answer: 1. 13ql4

Explanation: ANSWER: (A) 13ql4REF: Robbins 7th ed p. 300Some important genes and chromosomesRb gene13ql4p5317pl3NF117NF222VHL3p